Coombs test is
1. Precipitation test
2. Agglutination test
3. CFT
4. Neutrilization test

Correct answer: 2. Agglutination test

Explanation: Agglutination test:-insoluble antigen +antibody=clumps. Principle-When sera containingantibodies are mixed with antigen coated red cells, the antibody globulin coats the surface of the erythrocytes,though they are not agglutinated. When such erythrocytes coated with the antibody globulin are washednfree of all unattached protein and treated with a rabbitantiserum against human gamma globulin (antiglobulin or Coombs serum), the cells are agglutinated example:- 1. Coombs test (antiglobulin test or anti-Rh antibody test) is an agglutination test. The direct Coombs test is used to detect antibodies that are stuck to the surface of red blood cells. this. These antibodies sometimes destroy red blood cells and cause anemia. this in done for fetal ab(in vivo test) The indirect Coombs test looks for free-flowing antibodies against certain red blood cells. It is is most often done to determine if you may have a reaction to a blood transfusion. done for detecting Maternal Ab(in vitro test)